All are primary causes of hypogonadism except:
1. Klinefelter syndrome
2. Cryptorchidism
3. Diabetes mellitus
4. Mumps orchitis

Correct answer: 3. Diabetes mellitus

Explanation: Ans: c (Diabetes mellitus) Ref: Harrison, 16 ed, p. 2194,17th ed, p. 2317It is clearly mentioned in Harrison that Klinefelters syndrome, cryptorchidism and orchitis are causes of primary hypogonadism. So the answer of exclusion is diabetes.There lire 2 types of hypogonadism1. Primary hypogonadism: The basic delect is at testicular level2. Hypogonadotrophic hypogonadismCauses of primary hypogonadismCauses of hypogonadotrophic hypogonadismKlinefelter syndromeICSOLCryptorchidismHypoprolactinaemiaPost orchitisC/c illnessHIV infectionHemochromatosisChemotherapyExcessive exerciseRadiationSubstance abuseSurgical orchidectomyCongenital causes- Kallman syndromeInfections